What could be the most appropriate provisional diagnosis for multiple nodular exophytic reddish lesions of oral mucosa in an AIDS patient?
1. Hemangioma
2. Focal epithelial hyperplasia
3. Acute pseudo-membranous candidiasis
4. Kaposi's sarcoma

Correct answer: 4. Kaposi's sarcoma